Which of the following is the most common pure malignant germ cell tumor of the ovary ?
1. Choriocarcinoma
2. Gonadoblastoma
3. Dysgerminoma
4. Malignant teratoma

Correct answer: 3. Dysgerminoma

Explanation: Ans. is c i.e. Dysgerminoma Dysgerminoma is the most common malignant germ cell tumor of ovary.